Antidote for magnesium sulfate toxicity is?
1. Calcium gluconate
2. Penicillamine
3. Hydrated ferric oxide
4. Exchange resins

Correct answer: 1. Calcium gluconate

Explanation: Ans. (a) Calcium gluconateRef. Harrison's 17le, Chapter 346